About Randomized Controlled trial all are true except:
1. Baseline characteristics are comparable
2. Bias can be eliminated by double blinding
3. Sample size depends on the type of study
4. Dropouts are excluded from the study

Correct answer: 4. Dropouts are excluded from the study

Explanation: Dropouts are excluded from the study I Ref Epidemiology and health services By Haroutune K. Armenian, Sam Shapiro p63; http://www3.interscience.wiley.coniljourna1/89011300/abstract?CRETRY= I &SRETRY=0 Park 20/ep1 Repeat from May 11